Drug of choice for MRSA
1. Penicillin G
2. Ceftriaxone
3. Vancomycin
4. Cefazoline

Correct answer: 3. Vancomycin

Explanation: Methicillin was the first compound developed to combat resistance due to Penicillinase production by staphylococci. MRSA become common nowadays resistant not only to Penicillin but to all other beta-lactam antibiotics. vancomycin is the drug of choice for MRSA. Strains resistant to vancomycin and teicoplanin are still not common. Ref: Textbook of Microbiology; Ananthanarayanan and Panicker; 10th Edition; Page no: 208